Which is NOT a feature of polymyositis?
1. Pharyngeal muscle involvement
2. Gottron's rash
3. Proximal muscle involvement
4. Pain in limbs

Correct answer: 2. Gottron's rash

Explanation: Answer is B (Gottron's rash) : Gottron's rash is a feature of dermatomyositis and is characterized by erythema of knuckles witlz raised violaceous scaly eruptions. No rash is seen in patients of polymnyositis Polymyositis is essentially a diagnosis of exclusion Polymyositis is a subacute inflammatory myopathy affecting adults and rarely children who do not have I. Rash) Involvement of extraocular or fascial muscles) Family history of neuromuscular disease History of exposure to myotoxic drugs or toxins Endocrinopathy Neurogenic disease Muscular dystrophy Biochemical muscle disorder. Dermatomyositis : is a distinctive entitiy identified by a characteristic rash, accompanying or more often preceding muscles weakness.